Failure to thrive in infants and children results from inadequate nutrition to maintain physical growth and development. It’s a condition usually diagnosed when a child’s weight for age is below________ percentile.
1. 5th
2. 10th
3. 2nd
4. 15th

Correct answer: 1. 5th

Explanation: Primary care physician diagnose failure to thrive; when the child’s weight for age is less than fifth percentile or crosses two major percentile lines